The reducing equivalents for cholesterol biosynthesis are provided by
1. FADH2
2. FMNH2
3. NADH
4. NADPH

Correct answer: 4. NADPH

Explanation: Cholesterol is a 27-carbon compound consisting of 4 rings and a side chain. It is synthesized from acetyl-CoA by a lengthy pathway that may be divided into five steps:(1) synthesis of mevalonate from acetyl-CoA (2) formation of isoprenoid units from mevalonate by a loss of CO2 (3) condensation of six isoprenoid unitsform squalene (4) cyclization of squalene gives rise to the parent steroid, lanosterol; (5) formation of cholesterol from lanosterol.NADPH provides the reducing equivalents.Ref: Harper's Biochemistry; 30th edition; Chapter 26; Cholesterol Synthesis, Transport, & Excretion